Length of female urethra
1. 2cm
2. 4cm
3. 6cm
4. 8cm

Correct answer: 2. 4cm

Explanation: The female urethra, about 4 cm in length, is fused with the anterior wall of the vagina. It ends between the clitoris and the vagina. The male urethra, about 20 cm in length, comprises three parts: prostatic, membranous, and spongy Ref - BDC 6e vol2 pg379